Drug which produces Steven Johnson's syndrome in HIV infected individuals is :
1. Paraaminosalicylate
2. Cycloserine
3. Thioacetazone
4. Rifampicin

Correct answer: 3. Thioacetazone